All of the following are catagorised as secondary lymphoid organs except :
1. Lymph nodes
2. Spleen
3. Thymus
4. Subepithelial collections of lymphocytes

Correct answer: 3. Thymus

Explanation: C. i.e. ThymusLymphoid organs are the areas of lymphocytic proliferation. These are the sites which are liable to infection or in possible route to spread of infection